In CuT 200, '200' stands for:
1. Effective for 200 weeks
2. Surface area of copper in sq.mm
3. Weight in milligrams
4. Amount of copper released in mcg per day

Correct answer: 2. Surface area of copper in sq.mm

Explanation: In CuT 200, the '200' expression means that the copper portion has an exposed surface area of 200 sq.mm.